A 22-year-old male medical student was seen in the emergency department with a complaint of pain in his hand. He confessed that he had hit a vending machine in the hospital when he did not receive his soft drink after inserting money twice. The medial side of the dorsum of the hand was quite swollen, and one of his knuckles could not be seen when he "made a fist." The physician made a diagnosis of a "boxer's fracture." What was the nature of the impatient student's injury?
1. Fracture of the styloid process of the ulna
2. Fracture of the neck of the fifth metacarpal
3. Colles' fracture of the radius
4. Smith's fracture of the radius

Correct answer: 2. Fracture of the neck of the fifth metacarpal

Explanation: The student had broken the neck of the fifth metacarpal when hitting the machine with his fist. This is the more common type of "boxer's fracture." Neither a fracture of the ulnar styloid nor a Colles' fracture nor a Smith fracture of the distal radius would present with the absence of a knuckle as observed here. Bennett's fracture involves dislocation of the carpometacarpal joint of the thumb. Indications are that the injury is on the medial side of the hand, not the wrist, nor the lateral side of the hand or wrist.